Bromocriptine is indicated in the following conditions except:
1. Prolactin – secreting adenomas
2. Prolactin deficiency
3. Amenorrhea -Galactorrhea
4. Acromegaly

Correct answer: 2. Prolactin deficiency